A neonate has a large, purplish, slightly raised lesion on the skin of the forehead near the temporal area. As the child grows, the lesion grows as well and becomes increasingly prominent. This lesion may be a component of which of the following syndromes or diseases?
1. Buerger's disease
2. Milroy's disease
3. Osler-Weber-Rendu disease
4. Sturge-Weber syndrome

Correct answer: 4. Sturge-Weber syndrome

Explanation: The lesion is a port-wine stain, which is a purple, flat telangiectasia (vascular ectasia) that tends to occur on the head and to grow with the body. These lesions, particularly when they lie in the distribution of the trigeminal nerve, may be associated with angiomatous masses of the nearby leptomeninges as part of the Sturge-Weber syndrome. Other features of Sturge-Weber syndrome include intellectual disability, seizures, and hemiplegia. Buerger's disease is a vasculitis especially affecting young men who are heavy smokers. Milroy's disease is a congenital lymphatic malformation. Osler-Weber-Rendu disease is associated with multiple telangiectasias, but they are usually small, rather than large.